Which of the following is true under Factories Act of 1976?
1. Children aged less than 14 years are prohibited from any employment
2. Adolescents aged from 15-18 years can work between 7 pm and 6 am
3. Women and children can be employed in all type of works
4. Adolescents of 16 years need not be duly certified as fit for work by certifying surgeon

Correct answer: 1. Children aged less than 14 years are prohibited from any employment

Explanation: The factory Act, 1948 NO child <14 years age shall be required or allowed to work in any factory A child >14 years age or an adolescent (15-18 years age) shall allowed to work in any factory if they get a certificate of fitness from a surgeon No child shall be employed to work in any factory for >4 1/2 hours in any day and during night. No female child shall be allowed to work in any factory except between 8AM to 7PM. No female/male adolescent shall be allowed to work except between 6 AM to 7PM Women and children cannot be employed in dangerous works Ref: Park 25th edition Pgno: 852